Dengue virus is a:
1. Aplha virus
2. Flavi virus
3. Reovirus
4. Bunya virus

Correct answer: 2. Flavi virus

Explanation: Flavi virus